Which is a "Soft steroid" used in bronchial asthma?
1. Budesonide
2. Dexamethasone
3. Ciclesonide
4. Fiunisolide

Correct answer: 3. Ciclesonide

Explanation: A novel approach to minimizing the risk of toxicity from systemic absorption of an inhaled corticosteroid underlay the development of ciclesonide. This recently approved corticosteroid is inhaled as a prodrug activated by cleavage by esterases in bronchial epithelial cells. When absorbed into the circulation, the active product is tightly bound to serum proteins, and so has little access to glucocorticoid receptors in skin, eye, and bone, minimizing its risk of causing cutaneous thinning, cataracts, osteoporosis, or temporary slowing of growth.Katzung 12e pg: 348